All are elements of evaluation except
1. Repeatability
2. Relevance
3. Acceptability
4. Effectiveness

Correct answer: 1. Repeatability

Explanation: Components/elements of evaluation process in health services are: Relevance : Appropriateness (need) of a health service Adequacy: Sufficient attention to pre-determined course of action. Accessibility : Proportion of population expected to used the service. Acceptability : Socially and culturally acceptable Effectiveness: Extent of prevention /alleviation of underlying problem Efficiency : How well resources are utilized. Impact : Overall effect of programme/service on health and development Ref: Park 25th edition Pgno : 946